Which nerve is near to internal carotid artery in cavernous sinus -
1. Occulomotor nerve
2. Abducent nerve
3. Trochlear nerve
4. Ophthalmic nerve

Correct answer: 2. Abducent nerve

Explanation: Ans. is 'b' i.e., Abducent nerve Structures in lateral wall of cavernous sinusStructures passing through center of cavernous sinuso Occulomotor nerveo Trochlear nerveo Ophthalmic nerveo Maxillary nerveo Trigeminal nerveo ICA with venous and sympathetic plexuso Abducent nerve Coronal section through the middle cranial fossa showing the relations of the cavernous sinus